Ca Vulvaof the anterior part will spread primarily to which of the following lymph nodes?
1. Para-aortic
2. Inguinal
3. Obturator
4. Femoral

Correct answer: 2. Inguinal

Explanation: Vulval Lymphatics: Superficial component - drains the anterior two-thirdvulva, to the superficial inguinal lymph nodes Deep drainage system - draining the posterior one-third vulva is to deep inguinal nodes, external iliac, and femoral nodes In Ca Vulva the lymphatic spread is usually to the inguinal lymph nodes, which are located between Camper's fascia and the fascia lata. From these superficial groin nodes, the disease spreads to the deep femoral nodes, which are located medial to the femoral vessels Cloquet's or Rosenmuller's node, situated beneath the inguinal ligament, is the most cephalad of the femoral node group.